All are radiological features of ricket except:
1. III defined epiphysis
2. Narrow growth plate
3. Frayed and widened metaphysis
4. Metaphyseal cupping

Correct answer: 2. Narrow growth plate

Explanation: Ans. Narrow growth plate